Most common lymphoma associated with Sicca syndrome is
1. DLBCL
2. MALToma
3. Burkitt lymphoma
4. Lymphoplasmacytic lymphoma

Correct answer: 2. MALToma